Purpose of Gene therapy -
1. Replacement of abnormal gene by normal gene
2. Replacement of normal gene by abnormal gene
3. Knock out of abnormal gene
4. Introduction of viral gene

Correct answer: 1. Replacement of abnormal gene by normal gene

Explanation: The most common approach is to insert a normal gene into non-specific location within the genome to replace a nonfunctional gene (abnormal gene).